A young female presents with history of dyspnea on exertion. On examination, she has wide, fixed split S2 with ejection systolic murmur (III/VI) in left second intercostal space. Her ECG shows left axis deviation. The most probable diagnosis is:
1. Total anomalous pulmonary venous drainage
2. Tricuspid atresia
3. Ostium primum atrial septal defect
4. Ventricular septal defect with pulmonary arterial hypertension

Correct answer: 3. Ostium primum atrial septal defect

Explanation: c. Ostium primum atrial septal defect(Ref: Nelson's 20/e p 2189, Ghai 8/e p 413)Wide fixed splitting of S2 in association with ejection systolic murmur suggests the diagnosis of atrial septal defectThe presence of left axis deviation in A.S.D., suggests ostium primum type of defect.